A 78-year-old man reports anorexia, fatigue, and generally feeling unwell. On examination he has a large spleen, appears pale, and the rest of the examination is normal. His blood count is abnormal; the WBC is 46000/ml with increased mature granulocytes, hemoglobin 9.0 g/dL, and platelets 450,000/mL. Further investigations reveal BCR-ABL transcripts. T315I mutation is also seen. What is the drug of choice for this condition?
1. Bosutinib
2. Ponatinib
3. Bortezomib
4. Chlorambucil

Correct answer: 2. Ponatinib

Explanation: All Investigation points towards the diagnosis of CML. Management of CML: Tyrosine kinase inhibitors 1st line: Imatinib 2nd line: Dasatinib Nilotinib Bosutinib (DOC for imatinib resistant CML) 3rd line : Ponatinib DOC for T315I mutation DOC when there is failure of >2 TKIs Allogenic stem cell transplantation for patients who have progressed to blast cell crisis stage.